Bag of membranes ruptures
1. Before full dilatation of cervix
2. After full dilatation of cervix
3. After head is engaged
4. With excessive show

Correct answer: 2. After full dilatation of cervix

Explanation: Membranes usually rupture after full dilatation of cervix or sometimes even beyond in second stage